Inversion of the uterus, a complication is noticed in:
1. 1st satge of labour
2. IInd stage of labour
3. IIIrd stage of labor
4. Post partum period

Correct answer: 3. IIIrd stage of labor

Explanation: Ans. C: IIIrd stage of labour Inversion of the uterus is a rare but a life threatening complication in IIIrd stage in which uterus is turned inside out partially or completely Uterine inversion: Inside out turning of uterus Results from mismanaged 3rd stage of labour MC complication associated with inversion: Haemorrhage